Most common type of cancer gall bladder in a patient with gallstone-
1. Adenocarcinoma
2. Squamous carcinoma
3. Sarcoma
4. None

Correct answer: 1. Adenocarcinoma